After 3rd stage of labour and expulsion of placenta, patient is bleeding heavily. Ideal management would include all except:
1. Check for placenta in uterus
2. Check for laceration of labia
3. APGAR scoring
4. Uterine massage and I/V oxytocin

Correct answer: 3. APGAR scoring

Explanation: Ans. C: APGAR Scoring APGAR scoring is done for the assessment of newborn and has nothing to be done with control of uterine bleed. The underlying principle in active management of the third stage is to excite powerful contractions following birth of the anterior shoulder by parenteral oxytocirV ergometrine/ uterine massage which facilitates not only early separation of the placenta but produces effective uterine contractions following its separation.